A pregnant woman from bihar presents with hepatic encephalopathy. The likely diagnosis ?
1. Hep. E
2. Hep. B
3. Sepsis
4. Acute fatty liver of pregnancy

Correct answer: 1. Hep. E

Explanation: Ans. is 'a' i.e., Hepatitis E